Etheromanias refer to -
1. Acute psychosis post ether anaesthesia
2. Ether addiction
3. Excessive ether use drug anaesthesia
4. None

Correct answer: 2. Ether addiction

Explanation: Ether addiction or etheromania is the addiction to inhalation or drinking of diethyl ether.